The major storage form of fatty acids in the body are
1. Triacylglycerols
2. Cholesteryl esters
3. Cholesterol
4. Ketones

Correct answer: 1. Triacylglycerols

Explanation: (A) Triacylglycerols [UNS: - 33; Harrison'7 - 2197; Harrison11 - 2878; Harrison16 - 2077